Physiological unlocking is caused by -
1. Popliteus
2. Rectus femoris
3. Semimembranosus
4. Sartorius

Correct answer: 1. Popliteus

Explanation: During last stages of extension, femur rotates medially on tibia due to quadriceps femoris to lock the knee joint. Femur rotates laterally on tibia during flexion. 
Quadriceps femoris- Vastus medialis, vastus lateralis, vastus intermedius, rectus femoris. Unlocking occurs with popliteus.